In modern obstetrics, the internal podalic version is indicated in presence of:
1. Cord prolapse with live baby
2. Transverse lie with obstructed labor
3. Transverse lie of 2nd twin baby
4. Extended breech presentation

Correct answer: 3. Transverse lie of 2nd twin baby

Explanation: Ans. C i.e. Transverse lie of 2nd twin baby